At what atmosphere pressure gradient barotraumatic otitis media occurs
1. 80 mm of Hg
2. 90 mm of Hg
3. 100 mm of Hg
4. 120 mm of Hg

Correct answer: 2. 90 mm of Hg